Vagal stimulation of heart causes ?
1. Increased heart rate
2. Increased RR interval in ECG
3. Increased cardiac output
4. Increased force of contraction

Correct answer: 2. Increased RR interval in ECG